Which of the following structures are associated with Bell's palsy?
1. Submandibular gland
2. Seventh cranial nerve
3. Temporomandibular joint
4. Glossopharyngeal nerve

Correct answer: 2. Seventh cranial nerve

Explanation: Bell's Palsy (Seventh Nerve Paralysis, Facial Paralysis) 
Bell's palsy is one of the most common neurologic disorders affecting the cranial nerves. It is an abrupt, isolated, unilateral, peripheral facial nerve paralysis without detectable causes. It is a disturbance of Seventh Cranial Nerve. 
Recurrent attacks of facial paralysis identical with bell's palsy, non-pitting, non-inﬂammatory painless edema of face, cheilitis granulomatosa, and ﬁssured tongue or lingua plicata are features of  Melkersson-Rosenthal syndrome.
Reference: Shafer’s Textbook of ORAL PATHOLOGY Eighth Edition page no 576